Hypomagnesemia is associated with
1. Hyercalcemia
2. Hypokalemia
3. Hyperkaemia
4. Hyperphosphatemia

Correct answer: 2. Hypokalemia

Explanation: (B) Hypokalemia > Other electrolyte abnormalities often seen with Hypomagnesemia, including hypocalcemia (with hypocalciuria) and hypokalemia, may not be easily corrected unless magnesium is administered as well.